Charbon is a term used for
1. Leptospirosis
2. Cutaneous tuberculosis
3. Bubo of plague
4. Malignant pustule

Correct answer: 4. Malignant pustule

Explanation: Cutaneous anthrax is a lesion that starts as a papule and becomes vesicular, containing a fluid which may be clear or bloodstained. The whole area is congested and edematous, several satellite lesions filled with serum or yellow fluid are arranged around a central necrotic lesion, which is covered by a black eschar. The name anthrax, which means coal, comes from the black color of the eschar. The lesion is called malignant pustule Reference: Textbook of Microbiology; Anathanarayan and paniker's; 10th edition; Page no: 250